Testicular artery is a branch of -
1. Abdominal aorta
2. Common iliac artery
3. External iliac artery
4. Internal iliac artery

Correct answer: 1. Abdominal aorta

Explanation: Testicular artery is direct branch of abdominal aorta.